Pathognomic sign of Acute Iriodocyclitis is -
1. Aquous flare
2. Keratic precipitates
3. Small pupil
4. All of the above

Correct answer: 2. Keratic precipitates

Explanation: Keratic precipitates (KPs) on posterior surface of cornea are pathognomonic of the involvement of ciliary body in the inflammation. * Earliest sign of anterior uveitis- aqueous flare. * Pathognomonic sign -Keratic precipitate. Ref: Clinical ophthalmology 1st/e p.568.